The hepatotoxic octapeptides of Amanita phalloides usually produce:
1. Massive hepatic necrosis
2. Centrilobular zonal necrosis
3. Periportal injury
4. Granuloma formation in liver

Correct answer: 1. Massive hepatic necrosis

Explanation: The hepatotoxic octapeptides of Amanita phalloides usually produce massive hepatic necrosis; the lethal dose of the toxin is 10 mg, the amount found in a single death cap mushroom. Ref: Harrison's Principles of Internal Medicine, 18th Edition, Page 2558.